Extrapulmonary restrictive defects lead to development of?
1. Respiratory alkalosis
2. Respiratory acidosis
3. Increased DLco
4. Reduced DLco

Correct answer: 2. Respiratory acidosis

Explanation: Extrapulmonary restrictive defects: 1. M. gravis CO2 Retention | Respiratory acidosis 2. Kyphoscoliosis